All of the following are true regarding Non Depolarising Muscle Relaxants except
1. Vecuronium used safely with renal failure
2. Aminoglycoside worsens renal failure
3. Pancuronium has vagolytic effects
4. Non-depolarising agents triggers malignant hyperthermia

Correct answer: 4. Non-depolarising agents triggers malignant hyperthermia

Explanation: (D) Non-depolarising agents triggers malignant hyperthermia > Aminoglycoside may be used as muscle relaxants but contraindicated renal failure due to worsening actions.> Despite being steroid, Pancuronium has no hormonal effect.> It excerts slight vagolytic activity and no gangloplegic (Ganglion blocking activity)> Vecuronium is safe to use in end stage renal disease and is 5 times more potent than Atracurium, but Atracurium is more safer in renal disease.